Lead toxicity prinicipally affects which type of neuron:
1. Sensory
2. Motor
3. Both of the above
4. None of the above

Correct answer: 2. Motor

Explanation: In the peripheral nervous system, the motor axons are the principal target of lead toxicity. Ref :